Which one of the following is the most common problem associated with the use of condom :
1. Increased monilial infection of vagina
2. Premature ejaculation
3. Contact dermatitis
4. Retention of urine

Correct answer: 3. Contact dermatitis

Explanation: Contact dermatitis